All the following statements are false, except -
1. Collagenous colitis is seen in children
2. Ulcerative colitis is an acute granulomatous disease
3. Ulcerative colitis involves mucosa and submucosa
4. Necrotizing enterocolitis is an acute granulomatous disease

Correct answer: 3. Ulcerative colitis involves mucosa and submucosa

Explanation: Ulcerative colitis is an ulcer inflammatory disease limited to colon and affecting only mucosa and submucosa.
Muscular layer of the intestine is not involved in ulcerative colitis except in very severe disease. It is an important point of differentiation from Crohn's disease in which the muscular layer is also involved.
In the same way, granulomas are a pathological feature of Crohn's disease, not ulcerative colitis.
Collagenous colitis primarily affects middle-aged and older women whereas necrotizing enterocolitis is characteristically seen in neonates.